Which is true about Cholesteatoma (Atticoantral)?
1. Scanty, malodorous discharge
2. Otalgia
3. Central perforation
4. All

Correct answer: 1. Scanty, malodorous discharge

Explanation: Cholestatoma is associated with atticoantral type of CSOM / atticoantral or marginal perforation (and not central perforation).Cholesteatoma leads to destruction of bones therefore there is scanty foul smelling discharge and ossicular necrosis.Hearing loss occurs if ossicles are involved.It is of conductive type but if complications like labyrinthitis intervene, SNHL may also be seen.Bleeding may occur from granulations or polyp.Otalgia is not seen in case of cholesteatoma.